Which of the following represents site of reversal of polarity of myosin molecules in thick muscle filaments?
1. M line
2. Z line
3. I line
4. H line

Correct answer: 1. M line

Explanation: The M line is the site of the reversal of polarity of the myosin molecules in each of the thick filaments. At these points, there are slender cross-connections that hold the thick filaments in proper array.